Treatment of choice for placental site trophoblastic disease is -
1. Observation
2. Surgery
3. Chemotherapy
4. Radiotherapy

Correct answer: 2. Surgery

Explanation: Ans. is 'b' i.e., SurgeryPlacental Site Trophoblastic TumorArises from the placental bed trophoblasts and invades the myometrium.Most of these tumors run a benign course, malignancy is rare.Tumor is resistant to chemotherapy.Hysterectomy is the recommended treatment.